In malaria reservoir, parasite remains as ?
1. Merozoite
2. Sporozoite
3. Trophozoite
4. None

Correct answer: 4. None

Explanation: Ans. is 'd' i.e., None . Carriers of malaria parasite who move into non-endemic areas serve as reservoirs for transmission of disease among non- immune populations. . Carriers harbours gametocyte.